Which of following is a microfilament ?
1. Tubulin
2. Actin
3. Desmin
4. Vimentin

Correct answer: 2. Actin

Explanation: Ans. is 'b' i.e., Actin